Wound with bloody discharge belongs to which grade as per Southampton wound grading system
1. Grade 1
2. Grade 2
3. Grade 3
4. Grade 4

Correct answer: 3. Grade 3

Explanation: Southampton wound grading system for healing and injection :

Grade 0 is normal healing.
Grade 1 is with bruising / mild erythema.
Grade 2 is severe erythema with other features of inflammation at or around wound.
Grade 3 is serous or bloody discharge.
Grade 4 is presence of pus or deep infection or tissue break - down or significant haematoma.